Consider the following health hazards. Which of the associated with enviromental lead exposure?
1. Lowering of IQ in children \/ Lowering of systolic blood pressure \/ Reduced RBC survival and reduced heme biosynthesis & Higher rates of miscarriages, stillbirths and preterm deliveries
2. Lowering of IQ in children & Lowering of systolic blood pressure
3. Lowering of IQ in children \/ Reduced RBC survival and reduced heme biosynthesis & Higher rates of miscarriages, stillbirths and preterm deliveries
4. Lowering of IQ in children \/ Lowering of systolic blood pressure & Reduced RBC survival and reduced heme biosynthesis

Correct answer: 3. Lowering of IQ in children \/ Reduced RBC survival and reduced heme biosynthesis & Higher rates of miscarriages, stillbirths and preterm deliveries

Explanation: parks textbook of preventive and social medicine 23rd edition. *lead poisons many systems in the body and it is particularly damage to children devoloping brain and nervous system elevated lead levels in children is associated with impaired neuropsychologic devolopment as measued by loss of IQ,poor scholl preformance and behavioural difficulties.